Following statements are true with respect to 'discharge of blood from nipple' EXCEPT
1. It is occasionally normal
2. Suggests duct papilloma
3. Suggests carcinoma breast
4. Always needs furthur evaluation

Correct answer: 1. It is occasionally normal

Explanation: .DUCT PAPILLOMA * Commonest cause of bloody discharge from nipple * It is usually single, from a single lactiferous duct * It blocks the duct causing ductal dilatation Clinical Features * Papilliferous swelling (projection), usually seen near the nipple orifice. * Blood stained discharge from the nipple is common. * But serous or serosanguinous discharge can also occur. * Single papilloma is not premalignant. * But multiple papillomas in many ducts can be premalignant. ref:SRB's manual of surgery,ed 3,pg no 466